All of the following is true about peritonsillar abscess except?
1. Bulge in soft palate
2. Does not involve floor of mouth
3. Abscess is collected lateral to the superior constrictor
4. Trismus is commonly associated

Correct answer: 3. Abscess is collected lateral to the superior constrictor

Explanation: Peritonsillar abscess is a collection of pus outside the capsule in peritonsillar area between capsule (medially) and superior constrictor muscle (laterally). So, pus collection is medial to superior constrictor (not laterally).